Which of the following may cause biliary obstruction -
1. Ancylostoma
2. Entrobius
3. Strongyloides
4. Clonorchis

Correct answer: 4. Clonorchis

Explanation: In most cases the disease tends to remain low grade and chronic producing only minor symptoms of abdominal distress,intermittent diarrhea and liver pain or tenderness.C.sinensis has been linked to bile duct carcinoma.It is mostly observed in areas where clonorchiasis is endemic (refer pgno:126 baveja 3 rd edition)